The base sequence of the strand of DNA used as the template for transcription has the base sequence GATCTAC. What is the base sequence of RNA product?
1. CTAGATG
2. GTAGATC
3. GAUCUAC
4. GUAGAUC

Correct answer: 4. GUAGAUC

Explanation: Remember when the polarity of given DNA or RNA strand is not given in question always assume it as a 5' - 3' direction according to convention. So the given The DNA template strand is 5' GATCTAC 3'. So, the complementary DNA strand will be 3' CTAGATG 5'. The sequence of RNA formed will be exactly same to this strand. So Now for RNA, change T to U. So, we get 3' CUAGAUG 5'. Now in the options, polarity is not given so assume they are asking you RNA sequence in 5' - 3' direction. Now we have to arrange the RNA sequence from 5' - 3' direction. So the answer is 5' GUAGAUC 3'.